African Burkitt's lymphoma is caused by -
1. CMV
2. EBV
3. HZV
4. HSV

Correct answer: 2. EBV

Explanation: repeat